A man eats a low-carbohydrate meal that is rich in proteins containing the amino acids that stimulate insulin secretion. Which response accounts for the absence of hypoglycemia?
1. Suppression of GH
2. Suppression of somatomedin C secretion
3. Stimulation of cortisol secretion
4. Stimulation of glucagon secretion

Correct answer: 4. Stimulation of glucagon secretion

Explanation: Consumption of amino acids stimulates both GH and glucagon secretion. Increased glucagon secretion tends to increase blood glucose concentration and thus opposes the effects of insulin to cause hypoglycaemia